All of the following predispose to gastric carcinoma except -
1. Achlorhydria
2. 'O' blood group
3. Pernicious anaemia
4. Post gastrectomy

Correct answer: 2. 'O' blood group

Explanation: Ans. is 'b' i.e., 'O' blood group